Band forms are evident at what stage of the plasmodium malariae life cycle?
1. Trophozoite
2. Schizont
3. Male gametocyte
4. Female gametocyte

Correct answer: 1. Trophozoite

Explanation: Ans. is 'a' i.e., Trophozoite